Phantom limb sensations are the best described by:
1. Weber Fechner law
2. Power law
3. Bell-Magendie law
4. Law of projection

Correct answer: 4. Law of projection

Explanation: Ans is D ie law of projection (Ref: Ganong, 22/e, pl25, 126; Guyton, 10/e, p548)Law of projection states that, no matter where a particular sensory pathway is stimulated along its course to the cortex, the conscious sensation produced is referred to the location of the receptor.Phantom limb is a phenomenon seen in amputees. The patient complains of pain and proprioceptive sensations in the absent limb. This is because, the ends of the nerves cut at the time of amputation, are stimulated by pressure on them or may even spontaneously. The impulse generated in these nerve fibers previously came from sense organs in the amputated limb, thus the sensations felt are projected to where the receptors used to be.Bell Magendie LawStates that in the spinal cord, the dorsal roots are sensory and the ventral roots are motor. *Weber Fechner and the Power law both principles are used to explain one's judgment of sensory stimulus intensity. *Weber Fechner lawIt states that gradations of stimulus strength are discriminated approximately in proportions to the logarithm of stimulus strength.Power LawStates that a person interprets changes in intensity of sensory stimuli approximately in proportion to a power function of the actual intensity.Its given by formula.Interpreted signal strength = K x (Stimulus - k)y (in this formula the exponent y and the constant K and k are different for each type of sensation)